In Krebs cycle, which of the following catalyses the step in which the first CO2 is released?
1. Aconitase
2. Isocitrate dehydrogenase
3. Succinate thiokinase
4. Succinate dehydrogenase

Correct answer: 2. Isocitrate dehydrogenase